False statement regarding Red Cross sign:
1. Can be used by Army medical services
2. Punishable to use it without permission
3. Used by members of Red Cross
4. Can be used by doctors and ambulances

Correct answer: 4. Can be used by doctors and ambulances

Explanation: Ans. Can be used by doctors and ambulances